Which of the following is not included in neonatal mortality:
1. Early neonatal mortality
2. Late neonatal mortality
3. Post neonatal mortality
4. None of the above

Correct answer: 3. Post neonatal mortality

Explanation: Ans. C: Post neonatal mortality Early neonatal mortality refers to a death of a live-born baby within the first seven days of life, while late neonatal mortality covers the time after 7 days until before 28 days. The sum of these two represents the neonatal mortality. Some definitions of the PNM include only the early neonatal mortality. Neonatal mortality is affected by the quality of in-hospital care for the neonate. Neonatal mortality and postneonatal mortality (covering the remaining 11 months of the first year of life) are reflected in the Infant Mortality Rate